Inner ear is present in which bone -
1. Parietal bone
2. Petrous part of temporal bone
3. Occipital bone
4. Petrous part of squamous bone

Correct answer: 2. Petrous part of temporal bone

Explanation: Inner ear lies within the petrous part of temporal bone.
Ref. Turner 10/e, p 228; BDC 4/e, Vol. III p 264